The histogram is used as a method of group presentation for
1. Qualitative data
2. Quantitative continuous data
3. Quantitative data- discrete type
4. Nominal data

Correct answer: 2. Quantitative continuous data